Crohn's disease is associated with:
1. NOD-2/CARD-15 gene
2. P53 suppressor gene
3. Philadelphia chromosomes
4. BRCA-1 gene

Correct answer: 1. NOD-2/CARD-15 gene

Explanation: Etiology : Unknown Infectious agents proposed as potential causes: Mycobacterium paratuberculosis and measles virus IBD-1 (chromosome 16q) Relatively specific for Crohn's disease IBD-2 (chromosome 12q) More common in Ulcerative colitis on 16q CARD-15/NOD2 mutation lead to CD